Which auto antibodies are seen in type 1 autoimmune hepatitis
1. Anti mitochondrial antibodies
2. Anti nuclear antibodies
3. Anti LKM -1 antibodies
4. Anti - LKM - 2 antibodies.

Correct answer: 2. Anti nuclear antibodies

Explanation: ANA is the most common autoantibody in Type 1 autoimmune hepatitis.
Other auto antibodies seen in Type 1 AIH are:

Smoot muscle actin antibody (SMA)
Soluble liver antigen (SLA)
Atypical p ANCA.